Time taken for any project is estimated by
1. Work sampling
2. Input Output analysis
3. Network analysis
4. System analysis

Correct answer: 3. Network analysis

Explanation: A network analysis is a graphic plan of all events and activities to be completed in order to reach an end objective. Two common types are a) PE (Programme Evaluation and Review Technique)It aids in planning, scheduling and monitoring the project. It allows better communication between the various levels of management.b) Critical path method (CPM)Longest path of the network. If any activity along the critical path is delayed, the entire project will be delayed.Park 23e pg: 872